A/E are true regarding Alzheimer's disease.
1. Gradually progressive
2. Abrupt onset acute exacerbation
3. Episodic memory
4. All

Correct answer: 2. Abrupt onset acute exacerbation

Explanation: B i.e. Abrupt onset acute exacerbation